To create a porto-caval shunt in a patient with portal hypertension, which of the following venous anastomosis should be performed?
1. Superior mesenteric vein to inferior mesenteric vein
2. Right gastric vein to left gastric vein
3. Right gastric vein to right gastric vein
4. Left splenic vein to left renal vein

Correct answer: 4. Left splenic vein to left renal vein

Explanation: Portacaval shunting is major surgery. It involves a large cut (incision) in the belly area (abdomen). The surgeon then makes a connection between the portal vein (which supplies most of the liver's blood) and the inferior vena cava (the vein that drains blood from most of the lower part of the body.)The new connection diverts blood flow way from the liver. This reduces blood pressure in the portal vein and decreases the risk of a tear (rupture) and bleeding from the veins in the esophagus and stomach. Ref - Researchgate.net